Serological testing of patient shows HBsAg, IgM anti- HBc and HBeAg positive. The patient has
1. Chronic hepatitis B with low infectivity
2. Acute hepatitis B with high infectivity
3. Chronic hepatitis with high infectivity
4. Acute on chronic hepatitis

Correct answer: 2. Acute hepatitis B with high infectivity

Explanation: (B) Acute hepatitis B with... COMMONLY ENCOUNTERED SEROLOGIC PATTERNS OF HEPATITIS B INFECTIONHBsAgAnti-HBsAnti-HBcHBeAgAnti-H BeInterpretation+-IgM+HIAcute hepatitis B, high infectivity+-IgG+-Chronic hepatitis B, high infectivity+-IgG-+1. Late acute or chronic hepatitis B, low infectivity2. HBeAg-negative ("precoremutant") hepatitis B (chronic or, rarely, acute)++++/-+/-1. HBsAg of one subtype and heterotypic anti-HBs (common)2. Process of seroconversion from HBsAg to anti-HBs (rare)--IgM+/-+/-1. Acute hepatitis B2. Anti-HBc "window"--IgG-+/-1. Low-level hepatitis B carrier2. Hepatitis B in remote past-+IgG-+/-Recovery from hepatitis B-+---1. Immunization with HBsAg (after vaccination)2. Hepatitis B in the remote past (?)3. False-positive